If the Purkinje fibers, situated distal to the A-V junction, become the pacemaker of the heart, what is the expected heart rate?
1. 30/min
2. 50/min
3. 60/min
4. 70/min

Correct answer: 1. 30/min

Explanation: If the Purkinje fibers are the pacemaker of the heart, the heart rate ranges between 15 and 40 beats/ min. In contrast, the rate of firing of the A-V nodal fibers are 40 to 60 times a minute, and the sinus node fires at 70 to 80 times per minute. If the sinus node is blocked for some reason, the A-V node will take over as the pacemaker, and if the A-V node is blocked, the Purkinje fibers will take over as the pacemaker of the heart.